Schizophrenia is a disorder of :
1. Thought
2. Belief
3. Memory
4. Perception

Correct answer: 1. Thought

Explanation: A i.e. Thought